Breast milk has more............. in comparison to cow's milk
1. Minerals
2. Lactose
3. Proteins
4. Lipid

Correct answer: 2. Lactose

Explanation: CONSTITUENTS BREAST MILK COW'S MILKProteins 11 gm/L 33 gm/LNon protein 0.3 gm/L 0.32 gm/LLipid 35 gm/L 35 gm/LCarbohydrates70 gm/L 50 gm/L Lactose 62 gm/L50 gm/L Nitrogenous oligosaccharides 8 gm/L0Minerals2 gm/L 8 gm/LCalcium 0.33 gm/L1 gm/LPhosphorus 0.15 gm/L1 gm/LIron 0.4-1.5 mg/L0.3-0.5 mg/L Vitamin C60 mg/L20 mg/LVitamin D50 Ul25 URTI Energy 720 kcal650 kcal